Which of the following drug is contraindicated in closed angle glaucoma?
1. Adrenaline
2. Timolol
3. Atropine
4. Pilocarpine

Correct answer: 3. Atropine

Explanation: Atropine is a anti-cholinergic which acts non selective muscranic receptor blockade Anti-cholinergic drugs are contra-indicated in angle closure glaucoma, because they increase the i.o.t by closing canal of sclemm's